A female patient Nandini presents with upper respiratory tract infection. Two days after , she develops hematuria.Probable diagnosis is:-
1. IgA nephropathy
2. Wegener's granulomatosis
3. Henoch scholein purpura
4. Post streptococcal glomerulonephritis.

Correct answer: 1. IgA nephropathy

Explanation: Ans. is 'a' i.e. IgA Nephropathy If gross hematuria follows upper respiratory tract infection within 2 days it is most likely to be a case of IgA nephropathy.If gross hematuria follows URTI after 10 days or 14 days after skin infection it is most likely to be a case of poststreptococcal Glomerulo nephritis.Wegener's granulomatosis- usually there will be a history of lower respiratory tract involvement also.H.S. Purpura - There is also an involvement of Skin, Gut besides URTI & Glomerulo nephritis.